A 25-year-old man presents with fever and altered sensorium. The CSF analysis revealed –
  Pressure : Raised, Appearance : Opalescent and on standing cobweb formation seen, Protein : 220 mg%, Sugar : 30 mg%, Cells : 1250 per field mostly lymphocytes, Globulin : Positive. Which one of the following is the most likely diagnosis?
1. Meningococcal meningitis
2. Subarachnoid haemorrhage
3. Cryptococcal meningitis
4. Tuberculous meningitis

Correct answer: 4. Tuberculous meningitis